Slit lamp examination helps in the examination of
1. Anterior 2/3rd of choroid
2. Anterior 1/3rd of choroid
3. Posterior 1/3rd of choroid
4. Posterior capsule

Correct answer: 4. Posterior capsule

Explanation: Structures examined in Slit lamp: *Eyelids *Conjunctiva *Cornea *Anterior chamber *Iris and Pupil *Lens - Anterior and Posterior surface *Retina ( with +78D or +90D lens ) Choroid can be examined with Indirect Ophthalmoscopy only. Reference : Khurana's Theory and Practice of Optics and Refraction; 2nd Ed; Pg. 350-360